The most common etiological agent for acute bronchiolitis in infancy is
1. Influenza virus
2. Parainfluenza virus
3. Rhinovirus
4. Respiratory syncytial virus

Correct answer: 4. Respiratory syncytial virus

Explanation: Most cases of bronchiolitis are caused by the respiratory syncytial virus (RSV). RSV is a common virus that infects just about every child by the age of 2. Outbreaks of the RSV infection occur every winter. Bronchiolitis can also be caused by other viruses, including those thatcause the flu or the common cold. Bronchiolitis Lower respiratory tract (bronchioles) Microbiology : * Respiratory syncytial virus (RSV) * Rhinovirus. Parainfluenza virus, Human metapneumovirus * Influenza virus Clinical * Occurs primarily in children s 2-years-old * Often preceded by a 1 to 3 day URI prodrome * Fever. Cough * Respiratory distress (tachypnea, retractions, wheezing, crackles) Complications * Dehydration * Apnea (premature and < 2 months old) * Aspiration pneumonia, Respiratory failure Management Nonsevere bronchiolitis * Anticipatory guidance, nasal suctioning, hydration Severe bronchiolitis * Trial of inhaled bronchodilator (controversial) * Heated humidified high-flow nasal cannula * Continuous positive airway pressure * Endotracheal intubation Reference: GHAI Essential pediatrics, 8th edition